At birth, the palate is relatively flat: in adults; it is
vault-shaped. By which of the following does this change
occur:
1. Bone resorption in the palatal vault
2. Growth of the maxillary sinuses
3. Deposition of the alveolar crestal bone
4. Bone deposition on the posterior wall of the maxillary tuberosity

Correct answer: 3. Deposition of the alveolar crestal bone